Prolactin levels:
1. Lowest in pregnancy
2. Highest during pregnancy
3. Unaffected by pregnancy and lactation
4. Variable in every pregnancy

Correct answer: 2. Highest during pregnancy

Explanation: Prolactin increases tremendously in pregnancy and this ensures lactation.